Tram-line calcification is seen in:
1. Ependymoma
2. Thrombosed cerebral vein
3. Meningioma
4. Sturge-Weber syndrome

Correct answer: 4. Sturge-Weber syndrome

Explanation: Sturge-Weber syndrome